Investigation of choice in early phase of renal transplant
1. X ray
2. IVP
3. CT scan
4. Ultrasonography

Correct answer: 4. Ultrasonography

Explanation: Ref - Bailey and love 25 e p1424